Minimum nitrogen required for an adult with dynamic tissue turnover to maintain a positive nitrogen balance is
1. 3.5-4.5 g
2. 5.5-6.5 g
3. 7.5-8.5 g
4. 9.5-10.5 g

Correct answer: 2. 5.5-6.5 g

Explanation: .minimum nitrogen required for an adult with dynamic tissue turnover to maintain a positive nitrogen balance is about 5.5 to 6.5 g.* Glucose requirement is 200 g per day; fat requirement is 200 g per week; nitrogen (protein) requirement is 0.15 g/kg per day. Nitrogen need increases to 0.25 g/kg/day in hyper catabolic status. ref:SRB's manual of surgery,ed 3,pg no 86